Probable indicators of reversal of neuromuscular blockade are all except ?
1. Lift head for 5 seconds
2. Sustain hand grip for 5 seconds
3. Leg lift for 10 seconds
4. Ability to perform sustained tongue depressor test

Correct answer: 3. Leg lift for 10 seconds

Explanation: Ans. is 'c' i.e., Leg lift for 10 seconds Clinical pointers for the reversal of neuromuscular blockade are: Lift head for 5 seconds. Lift leg for 5 seconds. Sustained hand grip for 5 seconds. Ability to perform sustained tongue deprssor test.